Catalase negative member of the family Enterobacteriaceae is
1. Salmonella typhi
2. Proteus vulgaris
3. Shigella dysenteriae serotype 1
4. Escherichia coli

Correct answer: 3. Shigella dysenteriae serotype 1

Explanation: The general finding that members of the family enterobacteriaceae produce catalase has important exceptions in Shigella dysenteriae serotype 1 and a few strains of Shigella flexneri (mostly in serotype 4a) which are catalase negative.